Weakest cartilage among the following is
1. Hyaline cartilage
2. Elastic Cartilage
3. Fibrocartilage
4. All have equal strength

Correct answer: 1. Hyaline cartilage

Explanation: Depending upon the presence and predominance of collagen or elastic fibers the cartilages are classified into three types: fibrocartilage, hyaline cartilage, and elastic cartilage.
The hyaline cartilage has a homogeneous, glassy, bluish, and opalescent appearance. The collagen fibers present in the matrix are fine and not seen easily.
The fibrocartilage is a dense, fasciculated, opaque white tissue. The collagen fibers present in fibrocartilage are numerous and very obvious.
The elastic cartilage is pliable and imparts yellowish tinge. The intercellular substance of elastic cartilage, as the name indicates, is permeated by elastic fibers.
The mesenchymal cells surrounding the surface of developing cartilage form the perichondrium.
Weakest cartilage among these is hyaline cartilage. 

Key Concept:
The hyaline cartilage has a homogeneous, glassy, bluish, and opalescent appearance. The collagen fibers present in the matrix are fine and not seen easily.
Reference: Textbook of Clinical Embryology, 1e Vishram Singh page no 84